Hemorrhagic fever of dengue is transmitted by
1. Mansonia
2. Anopheles
3. A. aegypti
4. Culex

Correct answer: 3. A. aegypti

Explanation: Ans. c (A. aegypti) (Ref. Ananthanarayan Microbiology 7th/pg. 86)DENGUE FEVER# Dengue virus (4 serotypes; flaviviruses).# Occurs in tropics and subtropics; transmitted by mosquito (A. aegypti).# Rash in 50% of cases; initially diffuse flushing; midway through illness, onset of maculopapular rash, which begins on trunk and spreads centrifugally to extremities and face; pruritus, hyperesthesia in some cases.# After defervescence, petechiae on extremities in some cases.# Headache, musculoskeletal pain ("breakbone fever"); leukopenia; occasionally biphasic ("saddleback") fever.# A. aegypti, also an efficient vector of the yellow fever and chikungunya viruses, typically breeds near human habitation, using relatively fresh water from sources such as water jars, vases, discarded containers, coconut husks, and old tires. A. aegypti usually inhabits dwellings and bites during the day.OrganismVectorW. bancroftiCulexB. malayiMansoniaB. timoriAnophelesO. volvulusSimulian fliesLoa loaChrysops